The complete rockall scoring system in the setting of non-variceal upper GI bleeding correlates well with:
1. Morbidity
2. Mortality
3. Rebleeding
4. Cardiac failure

Correct answer: 2. Mortality

Explanation: Scoring tools Identifies patients with nonvariceal UGI bleeding at greatest risk for mortality and rebleeding. Pre-endoscopy scoring systems for nonvariceal bleeding Blatchford Score The Clinical Rockall Score Artificial neural network score The most commonly used post endoscopy scoring system is -Complete Rockall Score The Complete Rockall Score includes: The Clinical Rockall Score + endoscopic findings. It correlates well with mortality but not with the risk for rebleeding. Ref: Sleisenger and Fordtran's, E-9, P-293.